Bird beak appearance on barium swallow study is seen in -
1. Achlasia cardia
2. Carcinoma esophagus
3. Hiatus hernia
4. Diffuse esophageal spasm

Correct answer: 1. Achlasia cardia

Explanation: ’’Bird beak appearance on barium study is seen in achalasia cardia.

             Important esophageal signs